Gastrectomy produces deficiency of which vitamin
1. Vitamin B6
2. Vitamin B12
3. Vitamin B2
4. Vitamin B1

Correct answer: 2. Vitamin B12

Explanation: Gastrectomy produces deficiency of Vit B12.In contrast to other water-soluble vitamins, significant amounts(4-5mg) of vitamin B12are stored in the body. As a result, it may take several years for the clinical symptoms of B12deficiency to develop in individuals who have had a partial or total gastrectomy(who, therefore, become intrinsic factor-deficient, see p. 377) and can no longer absorb the vitamin.1. Reference: Lippincott Textbook of Biochemistry pg no. 376